Treatment of choice in neurocysticercoses of T. Solium
1. Mebendazole
2. Albendazole
3. Praziquentel
4. Metronidazole

Correct answer: 2. Albendazole

Explanation: (B) (Albendazole) (3431-H 18th)* Albendazole 15 mg/kg daily for a minimum of 8 days has become the drug of choice for parenchymal neurocysticercosis (380- Davidson 22nd)* Approximately 85% of parenclymal cysts are destroyed by a single course fo albendazole and 75% are destroyed by a single course of praziquantel for 15 days (3431- H 18th)Drug of choice for CNS toxoplasmosis is combination of sulfadiazine plus pyrimethamine **